Ibrutinib drug is used in all except:
1. Mantle cell lymphoma
2. Chronic lymphocytic leukemia
3. Waldenstrom's macroglobulinemia
4. AML

Correct answer: 4. AML

Explanation: Bruton tyrosine kinase (BTK) is a validated target for B cell malignancies. BTK inhibitor ibrutinib was approved in: - Chronic lymphocytic leukaemia- Mantle cell lymphoma- Waldenstrom's macroglobulinemia NIB -drug ending with NIB are kinase inhibitor BRUT - Bruton's tyrosine kinase inhibitor